Which of the following Maxillary Molar shows heart shape occlusal morphology
1. 1st molar
2. 2nd molar
3. 3rd molar
4. None of the above

Correct answer: 3. 3rd molar